Following grows in the cell free medium except -a
1. Rickettsia
2. M leprae
3. Syphilis
4. All

Correct answer: 4. All

Explanation: Ans. is 'a' i.e., Rickettsia; 'b' i.e., M leprae; 'c' i.e., Syphilis Obligate intracellular organisms . To grow in a medium which does not contain cells (cell free medium), organism should be capable of ATP synthesis. . Obligate intracellular organisms are not capable of the metabolic pathways for ATP synthesis. . So, these organisms are dependent on the ATP of host cells. . As they require host cell ATP, they can not grow in the media which do not contain cells (cell free media). . Such organisms are ? 1. Rickettsiae 2. Viruses 3. Pathogenic treponemes (syphillis) 4. Chlamydiae 5. M. leprae